All are muscles of rotator cuff EXCEPT:
1. Teres major
2. Teres minor
3. Infraspinatus
4. Supraspinatus

Correct answer: 1. Teres major

Explanation: Ans. A Teres majorRef: BDC, 6th ed. vol. I pg. 68-69, 73* The rotator cuff is a group of tendons and muscles in the shoulder, connecting the upper arm (humerus) to the shoulder blade (scapula). The rotator cuff tendons provide stability to the shoulder; the muscles allow the shoulder to rotate.The Muscles in the Rotator Cuff Include# Teres minor# Infraspinatus# Supraspinatus# Subscapularis* Each muscle of the rotator cuff inserts at the scapula, and has a tendon that attaches to the humerus. Together, the tendons and other tissues form a cuff around the humerus.Mnemonic: SITS .Teres major is not a part of rotator cuff muscles.